Most common complication of placing stent in CA esophagus?
1. Migration
2. Chest Pain
3. Perforation
4. Bleeding

Correct answer: 2. Chest Pain

Explanation: Self-Expanding Metallic Stents (SEMS) in Malignant Tracheoesophageal Fistula: SEMS are relatively easy to insert under fluroscopic guidance with a technical success rate of 95% and efficacy of 85-100% in relieving dysphagia. The duration of response is 5-6 months and complications occur in 10-15% patients MC complication of SEMS insertion: Chest pain or odynophagia (13%) > Tumour ingrowth overgrowth (10%) > Stent migration(9%) > Severe reflux (8%) The use of stents coated with silicone or polyurethane may prevent or delay tumor ingrowth and subsequent esophageal obstruction. Coated stents have been used with good success (>90%) for the treatment of tracheoesophageal fistula. Tumor ingrowth may be addressed by insertion of another stent or by tumor ablation. Placement ingrowth may be addressed by insertion of another stent or by tumor ablation Placement of stents through proximally located tumors, especially those near the cricopharyngeus, is often not well tolerated Stents placed across GE junction have a greater tendency to migrate and may result in symptomatic acid reflux Fixed diameter plastic endoluminal prostheses, associated with significant morbidity and mortality and low rate of dysphagia relief, have largely been abandoned. Ref: Sabiston 20th edition PGno: 1040